Keratometer is used to assess:
1. Thickness of cornea
2. Refractive power
3. Astigmatism
4. Curvature of cornea

Correct answer: 4. Curvature of cornea

Explanation: Ans. (d) Curvature of corneaRef.: A.K. Khurana 6th ed. 1575Few Instruments Which are Used for Ocular ExaminationMeasurement parameterInstruments/for:* Corneal thicknessPachymeta* Corneal curvatureKeratometer* Angle of anterior chamberGonioscope* Corneal surfacePlacido disc* Corneal endotheliumSpecular microscope* Direct ophthalmoscopeRoutine fundus examination. "Image formed is Erect and Virtual and magnified15 times"* Rememberd as: "DEV"* Indirect ophthalmoscopeFor assessment of retinal detachment and other peripheral retinal lesions. The image is real, inverted and magnified 5 times.* PerimetryOptic nerve function